Contraindication for electroconvulsive therapy:
1. 1st trimester Pregnancy
2. Elderly
3. Raised ICT
4. Catatonia

Correct answer: 3. Raised ICT

Explanation: Ans: C (Raised ICT) Ref: A Short Textbook of Psychiatry by Niraj Ahuja, 7th edition. 2011. Jay pee. (Ref: Miller LJ. Use of electroconvulsive therapy during pregnancy. Hasp Community Psychiatry 1994: 45 (5): 444-50Explanation:ECT is generally considered safe during pregnancy . "ECT is generally accepted to he relatively safe during all trimesters of pregnancy, particularly when compared to pharmacological treatments" (Miller U article)Electroconvulsive Therapy (ECT)Induction of a grand mal seizure lasting for atleast 15 seconds using an electrical pulse through brain under general anesthesiaExact mechanism of action is not known Indications:Depression refractory to adequate drug therapyHigh suicide riskMedical risk in addition to depression (dehydration, electrolytes, pregnancy)Previous good response to ECTFamilial response to ECTElderlyPsychotic depressionCatatonic featuresMarked vegetative featuresAcute schizophreniaMania unresponsive to medications Side effects:Risk of anesthesiaMemory loss (may be retrograde and/or anterogradeTends to resolve by 6 to 9 months, permanent impairment controversial), headaches,MyalgiasContraindications: Increased intracranial pressure